A 36-year-old diabetic woman develops metabolic changes following salpingo-oophorectomy. Serum osmolality of the blood can be calculated from serum values of which of the following?
1. Sodium, potassium, chloride, and bicarbonate
2. Sodium, potassium, urea, and hemoglobin
3. Sodium, potassium, glucose, and urea
4. Sodium, albumin, urea, and glucose

Correct answer: 3. Sodium, potassium, glucose, and urea

Explanation: Serum osmolality is calculated from serum values of sodium, potassium, glucose, and BUN by using the formula 2(Na+K)+BUN/2.8+glucose/18.